Stocker's line is seen in
1. Pinguecula
2. Pterygium
3. Congenital ocular melanosis
4. Conjunctival epithelial melanosis

Correct answer: 2. Pterygium

Explanation: Pterygium It presents as a triangular fold of conjunctiva encroaching the cornea in the area of the palpebral aperture, usually on the nasal side, but may also occur on the temporal side. Deposition of iron seen sometimes in corneal epithelium anterior to advancing head of the pterygium called as stocker's line. Parts. A fully developed pterygium consists of three parts: i. Head (apical part present on the cornea), ii. Neck (limbal part), and iii. Body (scleral part) extending between limbus and the canthus. Stocker's line in pterygium. Pterygium is a fibrovascular proliferative disorder in which conjunctival tissue grows medially to cover the clear cornea. On slit-lamp examination showed marked pterygium that extend from the nasal side of bulbar conjunctiva onto the cornea in the left eye Ref: Khurana; 4th ed; Pg 80